All the following are salient features of genetic code, EXCEPT
1. Degeneracy
2. Unambiguous
3. Punctuated
4. Non overlapping

Correct answer: 3. Punctuated

Explanation: Salient features of genetic code : Triplet base sequence Non- overlap Non- punctuated Degenerate Unambiguous Universal NOTE: The demonstration that DNA contained the genetic information was first made in 1944 in a series of experiments by Avery, MacLeod, and McCay.